The finish type of congenital nephrotic syndrome occurs due to gene mutations affecting the following protein -
1. Podocin
2. Alpha-actinin
3. Nephrin
4. CD2 activated protein

Correct answer: 3. Nephrin